Succinyl Co-A is formed from
1. Histidine
2. Leucine
3. Valine
4. Lysine

Correct answer: 3. Valine

Explanation: Pyruvate: Alanine, cysteine, glycine,hydroxyproline, serine and threonine.
Alpha-Ketoglutarate: Glutamine, glutamate, arginine, histidine and proline.
Succinyl CoA: lsoleucine, methionine, threonine and valine.
Fumarate: Phenylalanine and tyrosine.
Oxaloacetate: Asparagine and aspartate.
Satyanarayana, Ed3, Pg No 374